Features of moderately retracted tympanic membrane are all except -
1. Handle of malleus appearance foreshortened
2. Cone of light is absent or interrupted
3. Lateral process of malleus becomes more prominent
4. None

Correct answer: 4. None